Curling's ulcer is seen in
1. Drowning
2. Burns
3. Electric shock
4. Intracranial tumor

Correct answer: 2. Burns

Explanation: .Acute ulcers after cerebral trauma or neurosurgeries are called as Cushing's ulcers. Acute ulcers after major burns are called as Curling ulcers. Diagnosis is by gastroscopy presenting as pain in the epigastric region, vomiting or haematemesis. Treatment is conservative- IV ranitidine. IV pantoprazole 80 mg in 100 ml DNS--slow, later 40 mg IV maintenance. Note: Curling's ulcer occurs when burn injury is more 35%. It is observed in the body and fundus, not in antrum and duodenum. Ref: SRB's manual of surgery,3 rd ed, pg no 770